A hypertensive patient was started on antihypertensive drug. He develops dry cough during the course of the treatment. Which of the following drug is responsible for the following?
1. Beta blockers
2. ACE inhibitors
3. Alpha blockers
4. Diuretics

Correct answer: 2. ACE inhibitors

Explanation: Ans. B. ACE inhibitorsACE inhibitorsI- C- coughII- A-angioedemaIII- P-prodrugIV- T-taste disturbanceV- O- orthostatic hypotensionVI- P-pregnancyVII- R-renal artery stenosisVIII- I-increased potassiumIX- L-low risk of diabetic nephropathy.